Pontine Stroke is associated with all of the following signs, except:
1. Bilateral pin point pupil
2. Pyrexia
3. Vagal palsy
4. Quadriparesis

Correct answer: 3. Vagal palsy

Explanation: Pontine hemorrhage is not associated with vagal palsy. Bilateral pin point pupil, pyrexia and quadriparesis are characteristic features of pontine hemorrhage. Ref: Plum and Posner's Diagnosis of Stupor and Coma, Jerome B. Posne, Fourth Edition, Chapter 4, Page 167; Harrison's Principles of Internal Medicine, 16th Edition, Page 1630, 2391.